The component of an RDP that is spoon-shaped and slightly inclined apically from the marginal ridge of a tooth is the _____.
1. Indirect retainer
2. Minor connector
3. Rest
4. Lingual bar

Correct answer: 3. Rest

Explanation: The rest should be spoon-shaped and is slightly inclined apically from the marginal ridge of the abutment tooth. 
It should restore the occlusal morphology of the tooth and not interfere with the normal existing occlusion.